All are true about Total Mesorectal Excision for CA rectum except:
1. Decreases local recurrence
2. Decreases incidence of impotence
3. Decreases incidence of bladder dysfunction
4. Lesser Leakage rate and higher stoma rate

Correct answer: 4. Lesser Leakage rate and higher stoma rate

Explanation: Total Mesorectal Excision Advantages Disadvantages Significant increase in 5-year survival rates Decrease in local recurrence rate Decrease in the incidence of impotence and bladder dysfunction. TME is a more complex operation Associated with a longer operating time, more blood loss, longer hospital stay Higher leakage rate, higher stoma rate.